"Hereditary angioneurotic edema" is due to deficiency of:
1. C1 inhibitor
2. S protein
3. C3b inactivator
4. C2 kinins

Correct answer: 1. C1 inhibitor

Explanation: Hereditary angioneurotic edema occurs due to deficient or defective C1 inhibitor Protein S deficiency- | risk of venous thrombosis